Persistent priapism in childhood is due to
1. Sickle cell anaemia
2. Hairy cell leukaemia
3. Paraphimosis
4. Urethral stenosis

Correct answer: 1. Sickle cell anaemia

Explanation: (A) Sickle cell anaemia # Priapism in childhood commonly presents as a common symptom of Sickle Cell Disease especially after puberty, mainly as low flow or as a complication of penile trauma (normally high flow, non-ischemic episodes).> This phenotypic manifestation of SCD can cause persistent impotence, erectile dysfunction and behavioral problems in the sexual realm, as affected individuals fear the induction of an episode of painful erection in the course of normal sexual activity, which is the most common cause of priapism episodes after puberty.> The causative mechanisms are poorly understood but involve complex neurological and vascular factors.>Priapism may be associated with 1. Haematological disorders, especially sickle-cell disease, sickle-cell trait, and 2. Other conditions such as leukemia, thalassemia, and Fabry's disease, and 3. Neurologic disorders such as spinal cord lesions and spinal cord trauma (priapism has been reported in hanging victims; death erection).> Priapism is also found to occur in extreme cases of rabies,>. Priapism can also be caused by reactions to medications.